Late deceleration in fetal heart rate monitoring is suggestive of:
1. Fetal hypoxia
2. Head compression
3. Cord compression
4. Fetal death

Correct answer: 1. Fetal hypoxia

Explanation: Ans: A i.e. Fetal hypoxia Fetal heart rate monitoring Late deceleration suggests uteroplacental insufficiency and fetal hypoxia Early deceleration is due to head compression (vagal nerve activation) Variable deceleration is thought to indicate cord compression.